Ureter derives its blood supply from:
1. Renal artery
2. Gonadal vessel
3. Common iliac artery
4. All

Correct answer: 4. All

Explanation: A i.e. Renal artery; B i.e. Gonadal vessel; C i.e. Common iliac artery